Bird beak appearance is seen in-
1. Achlasia cardia
2. Carcinoma esophagus
3. Hiatus hernia
4. Diffuse esophageal spasm

Correct answer: 1. Achlasia cardia

Explanation: Ans. is 'a' i.e., Achlasia cardia Important esophageal signs on radiographySignConditionRat tail appearance of esophagusEsophageal carcinomaMega-esophagus (sigmoid esophagus)"Bird beak" appearanceHurst phenomenonAchlasia cardiaYo-Yo motion of barium"Corkscrew" appearance (esophageal curling)Rosary-bead/sheikh kebab configurationChain of bead appearanceDiffuse esophageal spasm